All of the following beta blockers have intrinsic sympathomimetic activity EXCEPT:
1. Celiprolol
2. Propanolol
3. Pindolol
4. Acebutalol

Correct answer: 2. Propanolol

Explanation: (Ref: Katzung, 14th ed. pg. 166; KDT, 6th ed. pg. 140)Some patients are sensitive to beta blockers. They usually develop bradycardia upon intake. Such patients are known as b -blocker sensitive patient.However, some beta blockers possess Intrinsic Sympathomimetic Activity (ISA) aka partial agonistic activity. For such sensitive patients, beta blockers with partial agonistic activity are preferred.These drugs themselves activate b1 or b2 receptors sub- maximally.Benefits:# Bradycardia and depression of contractility at rest are not prominent.# Withdrawal doesn't exacerbate hypertension or angina.Beta Blockers With Partial Agonistic Activity(Remembered as Mn. COP Pins CAB)# Celiprolol, Oxprenolol, Penbutolol# Pindolol# Carteolol# Acebutalol# Bopindolol